Maximum tachycardia is seen with-
1. Nifedipine
2. Verapamil
3. Propanolol
4. Amlodipine

Correct answer: 1. Nifedipine

Explanation: Ans. is 'a' i.e., Nifedipine Cardiac effectsVerapamilNifedipineDiltiazamo Heart rateo AV conductiono Contractilityo Output|||-,|-,||-|||,-||,|-,|Note:o Verapamil and to a lesser extent diltiazem delay the recovery of Ca++ channel in heart - Cardiodepressant action (| heart rate, conduction, contractility).o Nifedipine (DHPs) does not delay the recovery of Ca^ channel - No cardiodepressant action,o Instead, nifedipine causes reflex sympathetic stimulation - Tachycardia and increased contractility.